Hypocalcaemia is characterized by the following features except
1. Numbness and tingling of circumoral region
2. Hyperactivity tendon reflexes
3. Shoing of QT interval in ECG
4. Carpopedal spasm

Correct answer: 3. Shoing of QT interval in ECG

Explanation: Hypocalcemia typically prolongs the QT interval (ST portion), whereas hypercalcemia shortens it.digitalis glycosides also shorten the QT interval, often with a characteristic "scooping" of the ST-T-wave complex (digitalis effect). Ref Harrison 20th edition pg 1421